Which antibodies are associated with autoimmune hepatitis type IIa
1. ANA antibody
2. p ANCA
3. Anti histone antibody
4. Anti LKM antibody

Correct answer: 4. Anti LKM antibody

Explanation: Answer- D. Anti LKM antibodyType II autoimmune hepatitisAssociated with anti LKMIIa-Young womenHigh titre anti LKMResponds to glucocorticoid.